CSF on MRI appears:
1. Hyperintense on T1 weighed image and hypointense on T2 weighed image
2. Hypointense on T1 weighed image and hyperintense on T2 weighed image
3. Hyperintense on T1 and T2 weighed images
4. Hypointense on T1 and T2 weighed images

Correct answer: 2. Hypointense on T1 weighed image and hyperintense on T2 weighed image

Explanation: Ans. Hypointense on T1 weighed image and hyperintense on T2 weighed image